Following are used in planning of Helath education except -
1. Cover felt needs
2. Using simple words
3. Catchy slogans
4. Ensuring paicpation

Correct answer: 3. Catchy slogans

Explanation: planning of heath education includes - credibility - cover the felt needs of community - ensuring participation - using simple words - learning by doing - setting example. Reference : Park's textbook of preventive and social medicine, 23rd edition, pg no: 862